Pelvic diaphragm consists of all except
1. Pubococcygeus
2. Iliococcygeus
3. Ischiocavernous
4. Ischiococcygeus

Correct answer: 3. Ischiocavernous

Explanation: Levator ani muscle forms pelvic diaphragm. Levator ani muscle consists of three main divisions.

Pubococcygeus
Iliococcygeus
Ischiococcygeus.